Which of the following tuberculids is characterized by involvement of sweat glands, and hair follicles with noncaseating epithelioid granuloma ?
1. Lichen scrofulosorum
2. Miliary tuberculosis
3. Papulonecrotic type
4. Lupus vulgaris

Correct answer: 1. Lichen scrofulosorum

Explanation: In Lichen scrfulosorum ,hallmark feature is  superficial epitheloid dermal granulomas that surround hair follicles and sweat ducts and may occupy several dermal papillae.
Caseous necrosis is usually not seen.